Battle's sign is -
1. Ecchymosis on the mastoid
2. Bledding through the year
3. CSF Rhinorrhoea
4. Periorbital ecchymosis

Correct answer: 1. Ecchymosis on the mastoid

Explanation: Ans. is 'a' i.e., Ecchymosis on the mastoid o Battle's sign (or mastoid echymosis) is bruising or ecchymiosis over the mastoids (i.e. behind the ear). Seen in pterous temporal bone base-of-skull fractureo Raccoon's sign or periorbital ecchymosis is seen in fracture of anterior cranial fossa.